All are risk factors for CA GB except
1. Adenomyosis
2. ABPDJ
3. Gallstones
4. Adenomatous polyps

Correct answer: 1. Adenomyosis

Explanation: Adenomyosis has no malignant potential Risk factors for Carcinoma Gallbladder Gallstones >3cm Procelain gallbladder Anomalous pancreaticobiliary junction (APBDJ) Choledochal cysts Adenomatous polyps Primary sclerosing cholangitis Obesity Salmonella typhi infection Ref: Sabiston 20th edition Pgno :1510